Nerve ending sensitive to noxious stimuli are present in all excepta) Stomachb) Intestinec) Mesentryd) Livere)  Brain
1. ab
2. de
3. cd
4. bd

Correct answer: 2. de

Explanation: Brain does not have any pain receptors, while lung and liver parenchyma are insensitive to pain.